The gastroduodenal artery is derived from -
1. Celiac artery
2. Hepatic artery
3. Splenic artery
4. Cystic artery

Correct answer: 2. Hepatic artery

Explanation: Gastroduodenal artery is a branch of common hepatic artery.